Parvovirus infection which of the following is true
1. Erythroid progenitors are affected
2. Myeloid precursors are affected
3. People with P antigen is resistant to infection
4. Majority are chronic infections

Correct answer: 1. Erythroid progenitors are affected

Explanation: Ref. Robbins Pathology. 9th edition. Page. 460
 

Parvovirus B19 directly infects eiythroid progenitors through the P antigen on erythroblast surface.
Individuals who lack P antigen are resistant to parvovirus infection.
Few giant proerythroblasts (GFE) with basophilic cytoplasm 'dogear1 like cytoplasmic projections, stippled chromatin and inclusion like nucleoli are characteristic and diagnostic of parvovirus BI9 infection
Parvovirus B19 infection usually remits spontaneously though few cases may require I/V Ig therapy